Receptor for BDNF is
1. TRK A
2. TRK B
3. TRK C
4. TRK D

Correct answer: 2. TRK B

Explanation: BDNF acts TRK B receptor BDNF plays an important role in brain plasticity, neuronal differentiation and growth Ref:Guyton and Hall textbook of medical physiology 12th edition,page number:74,75,76